GABA transmission is facilitated by -
1. Vigabatrin
2. Carbamazepine
3. Phenytoin
4. Buspirone

Correct answer: 1. Vigabatrin

Explanation: Ans. is 'a' i.e., Vigabatrin